Breathing movement of fetus on USG is first detected on?
1. 11 weeks
2. 20 weeks
3. 24 weeks
4. 26 weeks

Correct answer: 1. 11 weeks

Explanation: Ans. A. 11 weeksDutta states: "Breathing movements are identified by 11 weeks but are irregular until 20th week. Their frequency varies from 30-70 per minute and is dependent on the maternal blood sugar concentration."